Omalizumab is administered by which route:
1. Inhalation
2. Intravenous
3. Intranasal
4. Subcutaneous

Correct answer: 4. Subcutaneous

Explanation: Patients should be given a 3-4 month trial of therapy to show objective benefit. Omalizumab is usually given as a subcutaneous injection every 2-4 weeks and appears not to have significant side effects. Ref: Harrison's principle of internal medicine 17th edition, chapter 248.